LGV (lymphogranuloma venerum) is caused by ?
1. Treponema pallidum
2. Chlamydia trachomatis
3. Calymmatobacter granulomatosis
4. H Ducreyi

Correct answer: 2. Chlamydia trachomatis

Explanation: Ans. is 'b' i.e., Chlamydia trachomatis